Retained mandibular deciduous central incisors will 10
result in
1. Lingual eruption of mandibular permanent incisors
2. Labial eruption of mandibular permanent incisors
3. Impaction of mandibular permanent incisors
4. Ankylosis of mandibular permanent incisors

Correct answer: 1. Lingual eruption of mandibular permanent incisors